Risk factor for cervical carcinoma is -
1. Smoking
2. Human papilloma virus.
3. Low socioeconomic status.
4. All of the above

Correct answer: 4. All of the above

Explanation: Ans. is 'd' i.e., All of the above Risk factors for Ca cervix :# HPV infection# Coitus before 18 years# Multiple sexual partners# Delivery of the first baby before the age of 20 years.# Multiparity with poor birth spacing between pregnancies.# Poor personal hygiene.# Poor socioeconomic status.# Smoking# Immunosupressive diseaseo Combined oral contraceptive and progestogen only pill can cause adenocarcinoma of the endocervix.